Sample of spinal cord is preserved in suspected poisoning with
1. Arsenic
2. Strychnine
3. Alcohol
4. Oleander

Correct answer: 2. Strychnine

Explanation: Preservation of viscera: In certain cases of poisoning, the following are preserved. (1) Heart: strychnine, digitalis, yellow oleander. (2) Brain: 100 gm. of cerebrum or cerebellum: alkaloids, organophosphorus compounds, opiates, CO, cyanide, strychnine, barbituratesanaesthetics and volatile organic poisons. (3) Spinal cord entire length: strychnine and gelsemium. (4) C.S.F.: alcohol. (5) Bile: It is best removed by puncturing the gall bladder in situ. Narcotic drugs, cocaine, methadone, glutathione, barbiturates and some tranquilisers. (6) Vitreous humour: alcohol, chloroform, cocaine, morphine, tricyclic antidepressants, etc. (7) Lung: one lung in gaseous poisons, hydrocyanic acid, alcohol, chloroform. Ref:- k s narayan reddy; pg num:-125